All of the following have receptors which are transcription factors except
1. Insulin
2. Estrogen
3. Vitamin D
4. Glucocorticoid

Correct answer: 1. Insulin